5-year-old child presented with wheezing, hepatosplenomegaty, eosinophilia and having puppy and hoarse voice. The diagnosis is
1. Ascariasis
2. Toxocariasis
3. Trichenellosis
4. Enterobiasis

Correct answer: 2. Toxocariasis

Explanation: (B) Toxocariasis # Toxocariasis: There are 3 major clinical syndromes associated with human toxocariasis: VLM, ocular larva migrans (OLM), and covert toxocariasis. The classic presentation of VLM includes eosinophilia, fever, and hepatomegaly, and occurs most commonly in toddlers with a history of pica and exposure to puppies. The findings include fever, cough, wheezing, bronchopneumonia, anemia, hepatomegaly, leukocytosis, eosinophilia, and positive Toxocara serology.